Caldwell luc approach opens
1. Maxillary sinus
2. Frontal sinus
3. Sphenoid sinus
4. Ethmoid sinus

Correct answer: 1. Maxillary sinus

Explanation: Caldwell luc approach opens maxillary sinus. Ref- Dhingra, 6th edition, Page 412.